Galactorrheamy be associated with the use of all the following drugs except -
1. Methyldopa
2. Tricyclic antidepressants
3. Pyridoxine
4. Phenothiazine

Correct answer: 3. Pyridoxine

Explanation: Lactation in the absence of breast feeding is known as galactorrhea. Drugs causing galactorrhea are dopamine antagonists like antipsychotics (phenothiazines,butyrophenones),antidepressants, antiemetics and dopamine depleting drugs like reserpine , methyldopa .These dopamine antagonists elevate prolactin concentrations and results in galactorrhea. Reference -Davison's principles and practice of Medicine , 22nd edition ,page no.790